Upper border of posterior belly of digastric is related to:
1. Posterior auricular artery.
2. Occipital artery.
3. Ascending pharyngeal artery.
4. Lingual artery.

Correct answer: 1. Posterior auricular artery.

Explanation: The upper border of posterior belly of digastric is related to "posterior auricular artery" while its lower border is related to "occipital artery".